As per "Drugs and Cosmetics Act" prescription drugs are included under which of the schedules?
1. Schedule C
2. Schedule H
3. Schedule P
4. Schedule X

Correct answer: 2. Schedule H

Explanation: According to Drug and cosmetic act drugs are classified into following schedules: Schedule C: Biological and special products Schedule E: List of poisons including substances under ayurveds, unani and siddha system Schedule F: Vaccines and sera Schedule G: Hormones, anticancer drugs and antihistamines Schedule H: Drugs/poisons to be sold only with the prescription of a registered medical practitioner. Schedule J: List of diseases for the cure and prevention of which no drug should be adveised. Schedule L: Antibiotics, antihistamines and recent chemotherapeutic agents.